A new born suffering from perforated necrotizing enterocololitis is having very poor general condition. He is currently stabilized on ventilator. Which of the following should be done in the management of this patient
1. Conservative treatment
2. Resection and anastomosis
3. Stabilization with membrane oxygenator and defer surgery
4. Peritoneal drainage by putting drains in the flanks

Correct answer: 4. Peritoneal drainage by putting drains in the flanks

Explanation: .Management of necrotising enterocolitis All oral feeding must be withheld a nasogastric tube is inserted to relieve distension and aspirate stomach contents. Fluid and electrolytes in adequate quantities should be administered Perforation is suggested if there is free intra abdominal gas and liver dullness is obliterated. ESSENTIAL PEDIATRICS,O.P.GHAI,PG NO:139,7th edition